In superficial second degree burns, re-epithelialisation occurs around:
1. <1 week
2. 2 weeks
3. 3 weeks
4. 4 weeks

Correct answer: 2. 2 weeks

Explanation: Characterstics of Superficial Second Degree Burns Involve upper layer of dermis ( Papillary dermis) Erythematous BLISTERS are seen Blanch on touch Painful Heals without scarring in 7-14 days